A lady presents with swelling of hands with shiny skin. She has a history of fracture radius and kept on the POP cast for 4 weeks after which she develops this. Give the most likely diagnosis -
1. Myositis ossification
2. Rupture of external pollicis longus tendon
3. Reflex sympathetic dystrophy
4. Malunion

Correct answer: 3. Reflex sympathetic dystrophy

Explanation: Swelling of hands with shiny skin and history of trauma (fracture radius) suggest the diagnosis of RSD.